Bradycirdia is common after injection of:
1. Midazolam
2. Succinylcholine
3. Dopamine
4. Isoprenaline

Correct answer: 2. Succinylcholine

Explanation: KD thripathi. 7th edition. Chapter skeletal muscle relaxants. Page no. 351. Succinyl choline produces bradycardia initially after injection due to activation of vagal ganglia. So option 2 is right.